Deltoid ligament is attached to all except -
1. Medial malleolus
2. Talus
3. Calcaneum
4. Lateral malleolus

Correct answer: 4. Lateral malleolus

Explanation: Medial collateral ligament/Deltoid ligament is attached from medial malleolus to
-        Superficial part

   Tibionavicular part- Navicular tuberosity and spring ligament
   Tibiocalcaneal part- Sustenticulum tali
   Posterior tibiotalar part- medial tubercle and medial surface of talus

-        Deep part (Anterior tibiotalar part)

   Medial surface of talus